Under AFP Surveillance, follow-up examination is done after (For residual paralysis)
1. 15 days of onset of paralysis
2. 33 days of onset of paralysis
3. 60 days of onset of paralysis
4. 90 days of onset of paralysis

Correct answer: 3. 60 days of onset of paralysis

Explanation: Under AFP Surveillance, follow-up examination is done after (For residual paralysis) 60 days of onset of paralysis - Acute flacid paralysis is seen polio myelitis AFP surveillance done at 0-15 yrs. Age group in India done by surveillance medical officer 2 stood specimen collect to suspected person 24 - 48 hr. apart Each simple. 8 gm ( adult thumb size) - Transported in reverse cold chain ( +2 to + 8degC) Follow up after 60 days Confirmation of polio by 90 days